Which of the following is NOT a clinical feature of post - traumatic stress disorder (PTSD)?
1. Flashbacks
2. Hyperarousal
3. Hallucinations
4. Emotional numbing

Correct answer: 3. Hallucinations

Explanation: Clinical features of PTS :

Hyperarousal : Anxiety, irritability, insomnia, poor concentration, hypervigilance.
Intrusions : Re-experience of a traumatic event in distressing thought, or dream (nightmares), flashbacks.
Avoidance : Avoidance of stimulus (thoughts, activities) that arouse recollection of trauma.
Other : Emotional numbing, emotional detachment, the absence of emotional responsiveness (anhedonia), derealization, depersonalization, depression & hopelessness, guilt or shame or self - blame, dissociative amnesa.